Empyema necessitans is defined as so when -
1. Plural empyema is under pressure
2. Pleural empyema has ruptured into bronchus
3. Pleural empyema has ruptured into the pericardium
4. Pleural empyema is showing extension to the subcutaneous tissue

Correct answer: 4. Pleural empyema is showing extension to the subcutaneous tissue